Nephrocalcinosis is a feature of AJE -
1. Primary hyperparathyroidism
2. Medullary sponge kidney
3. Vitamin D intoxication
4. Pseudo hypoparathyroidism

Correct answer: 4. Pseudo hypoparathyroidism